True about Corpus callosum :
1. Unite far area of two sides of brain
2. Connect two frontal lobe
3. Unite two hemisphere
4. All

Correct answer: 4. All

Explanation: A i.e. Unite far area of two sides of brain; B i.e. Connect two frontal lobe ; C i.e. Unite two hemisphere